The most common complication of IUCD is :
1. Ectopic pregnancy
2. Bleeding
3. Backache
4. Cervical stenosis

Correct answer: 2. Bleeding

Explanation: Bleeding